Mycotic vulvovaginitis is due to :
1. Candida
2. Aspergillus
3. Cryptococcus
4. Pseudomonas

Correct answer: 1. Candida

Explanation: Candida